All the following are vaginal procedures done for urinary incontinence, EXCEPT:
1. Transobturator tape
2. Anterior colporrhaphy
3. Marshall - Marchetti - Krantz procedure
4. Kelly's stitch

Correct answer: 3. Marshall - Marchetti - Krantz procedure

Explanation: In Marshall - Marchetti - Krantz procedure the paraurethral tissue at the level of the bladder neck is sutured the periosteum of the posterior surface of the pubic symphysis. It is an abdominal procedure. Also know Burch colposuspension - Paraurethral tissue is sutured to the iliopectineal ligament. Ref: Essentials of Gynaecology by Lakshmi Seshadri, Edition 1, page - 341.